Which immunoglobulin crosses placenta?
1. IgG
2. IgM
3. IgA
4. IgD

Correct answer: 1. IgG

Explanation: Ans. a (IgG). (Ref. Textbook of Microbiology by Anantanarayan, 6th/82)FeaturesIgGIgAIgMIgDIgE1Sr. Cone, (mg/ml)1221.20.030.000042Half Life (Days)23652-81-53Daily Production (Meg/ Kg)34243.30.40.000234Carbohydrate (%)381213125Complement fixation - Classical++-+++--6Complement fixation - Alternative-+---7Placental Transfer+----8Heat Stability (56deg c)++++-9Synthesized earliest (phylogenetically oldest)--+--10J-chain-++- 11Secreted by seromucinous glands-+---